A gall stone gets impacted most commonly in which part of common bile duct -
1. Supraduodenal
2. Retroduodenal
3. Ampulla of vater
4. Common hepatic duct

Correct answer: 3. Ampulla of vater